Which of the following is not a typical feature of Meniere's disease
1. Sensorineural deafness
2. Vertigo
3. Pulsatile tinnitus
4. Fluctuating deafness

Correct answer: 3. Pulsatile tinnitus

Explanation: Meniere's disease, also called endolymphatic hydrops, is a disorder of the inner ear where the endolymphatic system is distended with endolymph. It is characterized by (i) vertigo,(ii) sensorineural hearing loss, -- Hearing improves after the attack and maybe normal during the periods of remission. This fluctuating nature of hearing loss is quite characteristic of the disease. -- Distortion of sound. Some patients complain of distorted hearing. A tone of a particular frequency may appear normal in one ear and of the higher pitch in the other leading to diplacusis. -- Intolerance to loud sounds. Patients with Meniere's disease cannot tolerate the amplification of sound due to the recruitment phenomenon. (iii) tinnitus is low pitched and roaring type and is aggravated during acute attacks. (iv) aural fullness. (Ref: Textbook of diseased of ENT, PL Dhingra, 7th edition, pg no. 111,112)